Vacuum extraction is CONTRAINDICATED in:
1. Premature babies
2. Heart disease
3. Microcephaly
4. Polyhydramnios

Correct answer: 1. Premature babies

Explanation: Ans. A i.e. Premature babies